Immunoglobulin responsible for anamnestic response is -
1. IgA
2. IgG
3. IgM
4. IgE

Correct answer: 2. IgG

Explanation: Anamnestic response is the secondary immune response. This response is through memory cells, which store information regarding the recognition of a pathogen based on previous interaction. IgG antibodies are produced later in the immune response, usually after a secondary exposure is characterized as follows: lower concentrations of immunogen are required to stimulate the response, the lag phase is shorter than the primary response, antibody is synthesized faster and lasts longer. The capacity for a secondary or anamnestic response lasts for many years. Long after the primary response (lgM) antibodies are no longer detectable, an immunogen can ellicit a prompt secondary response. For this reason it is sometimes referred to as the "anamnestic" or memory antibody response.